Which of the following is associated with pregnancy?
1. Type I diabetes
2. Type II diabetes
3. Gestational diabetes
4. Juvenile diabetes

Correct answer: 3. Gestational diabetes

Explanation: Reproductive capacity in either men or women with DM appears to be normal. Menstrual cycles may be associated with alterations in glycemic control in women with DM. Pregnancy is associated with marked insulin resistance; the increased insulin requirements often precipitate DM and lead to the diagnosis of gestational diabetes mellitus (GDM).